True about intrinsic asthma -a) More severe & persistentb) IgE normalc) Family history +ved) Skin test positive
1. ac
2. a
3. ad
4. ab

Correct answer: 4. ab